Galeazzi fracture is defined as:
1. Fracture proximal radius with dislocation of superior radio-ulnar joint
2. Fracture distal radius with dislocation of inferior radio-ulnar joint
3. Fracture proximal ulna with dislocation of superior radio-ulnar joint
4. Fracture distal ulna with dislocation of inferior radio-ulnar joint

Correct answer: 2. Fracture distal radius with dislocation of inferior radio-ulnar joint

Explanation: Ans. B i.e. Fracture distal radius with dislocation of inferior radio-ulnar joint Synonyms of fractures Greenstick fracture: Childrens, Bending force, Distraction of cortex on convex side & Compression on the concave side (cortex intact) Bennet's fracture: Intra-articular base of 1st metacarpal; - Extra-articular extension is Rolando's fracture (T or Y shaped) Chauffer's fracture: Fracture radial styloid process Jefferson's fracture: Burst fracture of C1 (atlas) Monteggia fracture:Proximal ulna fracture with dislocation of head of radius Galeazzi fracture: Fracture distal radius with dislocation of distal radio-ulnar joint March fracture: Stress fracture of shaft of 2nd or 3rd metatarsal (commonly) Pott's fracture: Bimalleolar fracture Burst fracture: Compression fracture of vertebrae Crescent fracture: Fracture iliac bone with sacro-iliac disruption